Edward Jenner died in -
1. 1749
2. 1775
3. 1823
4. 1920

Correct answer: 3. 1823

Explanation: Ans. is 'c' i.e., 1823 o Edward Jenner was born on 17 may 1749 and died on 26 January 1823. o Edward Jenner discovered samll pox vaccine in 1796, which was the first ever vaccine to be discovered. o Edward Jenner also coined the term 'vaccine'.